A 9 year old child disturbs other people, is destructive, interferes with the people are talking, does not follow instructions and cannot wait for his turn while playing a game. He is likely to be suffering from:
1. Emotional disorder
2. Behavioural problem
3. No disorder
4. Attention deficit hyperactivity disorder

Correct answer: 4. Attention deficit hyperactivity disorder

Explanation: Ans. D i.e. Attention deficit hyperactivity disorder Attention deficit hyperactivity disorder/ ADHD Easy distractibility/poor attention span, Impulsivity, Methyl-phenidylate and Atom-oxetiene are used in management